The inorganic component of plaque is primary
1. Calcium and fluoride
2. Calcium and sodium
3. Calcium and phosphorus
4. Sodium and calcium

Correct answer: 3. Calcium and phosphorus